Which of the following is known to cause metabolic bone disease?
1. Vit A, Vit B
2. Vit A, Vit E
3. Vit D, Vit A
4. Vit C, Vit E

Correct answer: 3. Vit D, Vit A

Explanation: Vit D excess increase intestinal calcium absorption and if severe, also increase bone resorption. Vit A intoxication cause hypercalcemia and presumed to increase bone resorption. Metabolic Bone Disease: The common metabolic disease is associated in varying degree with depletion of bone tissue or bone mineral and (in some cases) with systemic features of altered mineral metabolism The most common condition fall into three group: Osteoporosis: In which the quantity of bone mass is abnormally low Osteomalacia: In which the osseous connective tissue (osteoid) is present but insufficiently mineralized) Osteitis fibrosa: In which PTH overproduction leads to bone resorption and replacement by fibrous tissue. Ref: Apley's Orthopedics 8/e, Page 112-115 ; Maheshwari 3/e, Page 261